Which of the following is not true about juvenile angiofibroma
1. Biopsy for diagnosis
2. Benign tumor
3. Surgical excision
4. Second decade

Correct answer: 1. Biopsy for diagnosis

Explanation: Diagnosis is mostly based on the clinical picture. Biopsy of a tumour will present with profuse bleeding and is, therefore, avoided. If it is essential to differentiate it from other tumours, a biopsy can be done under general anaesthesia with all arrangements to control bleeding and transfuse blood. (Ref: Diseases of ear, nose and throat, PL Dhingra, 7th edition, page 280)